Sarcoidosis is associated with:
1. Band keratopathy
2. Systemic amylodosis
3. Angioid streaks
4. Cataracta nigra

Correct answer: 1. Band keratopathy

Explanation: Ans. (a) Band kerotopathySarcoidosis is associated the band keratopathy from metabolic derangement resulting in hypercalcemia and from chronic uveitis.